A 5-year-old child develops fever with rash on first day of fever. Rash disappears after few days and child develops ataxia. Most probable diagnosis?
1. Measles
2. Fifth disease
3. Rocky mountain spotted fever
4. Chickenpox

Correct answer: 4. Chickenpox